Which of the following agents is used for the treatment of post operative shivering?
1. Atropine
2. Pethidine
3. Thiopentone
4. Suxamethonium

Correct answer: 2. Pethidine

Explanation: Treatment of post operative shivering involves oxygen administration to prevent hypoxia, active warming and use of drugs. Pethidine at a minimum dose of 0.35mg/kg is the most effective opioid in the treatment of post anaesthetic shivering. Fentanyl, Aalfentanil and Doxapram at a dose of 0.2mg/kg is also effective. Ref: Textbook of Anesthesia for Postgraduates By T. K. Agasti, Page 387; Fundamentals of Anaesthesia By Ted Lin, 2nd Edition, Pages 70-71.